What are the findings in USG, which suggests incompetent os:a) Cervical lengthb) External osc) Internal osd)  Funneling of amniotic sace) AP length of cervix
1. abc
2. ad
3. bc
4. acd

Correct answer: 4. acd